Events occurring in the past one week is anexample of -
1. Recent memory
2. Remote memory
3. Working memory
4. Delayed memory

Correct answer: 1. Recent memory

Explanation: Recent memory [Ref: Neuroanatomy through Clinical cases Hal Blumenfeld p.781-7821Classification of memoryTypeTimeAreaMechanism* Immediatememory - Primary< SecBrainstem-diencephalicactivating system;frontoparietal associationnetworks; specific unimodaland heteromodal coicesOngoing electricalactivity of neurons,changes in intracellularCa'. and other ions.changes in secondmessengers systems- WorkingSec. to MinFrontal association cortex,specific unimodal andheteromodal coicesSame as above* RecentMin/week/Medial temporal structures:Protein phosphorylationMemorymonthmedial diencephalicstructures; specific unimodaland heteromodal coicesand other covalentmodification; express?ion of immediate earlygenes* RemoteMonths-Specific unimodal andAdditional changes inmemoryYearsheteromodal coicesgene transcription andtranslation resulting instructural changes ofproteins and neurons